All of the followings are signs of reversible cell injury; except:
1. Loss of microvilli
2. Cell Swelling
3. Bleb formation
4. Dense Mitochondrial deposit

Correct answer: 4. Dense Mitochondrial deposit

Explanation: Ans. (d) Dense Mitochondrial depositRef: Robbins and Cotran Pathologic Basic Disease 9th Ed; Page No-40Cell injuryReversible cell injuryIrreversible cell injury* Cellular swelling* Loss of microvilli* Formation of cytoplasmic blebs* ER swelling* Ribosomal detachment* Myelin figures* Clumping of nuclear chromatin* Flocculent, amorphous mitochondrial densities* Swelling & disruption of lysosomes* Plasma membrane damage* Pyknosis* Karyolysis* Karyorrhexis